Facial bevel, proximal ﬂare and chamfer ﬁnish line in a posterior three quarter crown  imparts:
1. Marginal integrity
2. Structural durability
3. Retention and resistance
4. All of the above

Correct answer: 1. Marginal integrity